A baby's blood group was determined as 0 Rh negative. Select the blood group the baby's mother or father will not have -
1. A, Rh Positive
2. B, Rh Positive
3. AB, Rh Negative
4. O,Rh positive

Correct answer: 3. AB, Rh Negative

Explanation: . Ans. is 'c' i.e., AB, Rh negativeBlood group inheritanceFather ABABMother O00, A0,BA,BA0, A0,A0, A, 13, ABA, B, ABB0, B0, A, B, AB0,BA, B, ABABA, BA, B, ABA, B, ABA, B, ABo So, if a child has '0' blood group, there is no possibility of having AB blood group in any of the parents